Periodicity is a characteristic feature in which sinus infection:
1. Maxillary sinus infection
2. Frontal sinus infection
3. Sphenoid sinus infection
4. Ethmoid sinus infection

Correct answer: 2. Frontal sinus infection

Explanation: Areas of High attenuation surrounded by a thin zone of low attenuation CT scan reveals pansinusitis and polyposis Pain of frontal sinusitis shows characteristic periodicity, i.e. comes upon waking, gradually increases and reaches its peak by midday and then starts subsiding. It is also called "office headache" as it is present only during office hours.